Contraception of choice for a working women with irregular and profuse bleeding :
1. IUCD
2. Barrier
3. Spermicide
4. Oral pills

Correct answer: 4. Oral pills

Explanation: Oral pills